Figure of 8 in chest X-ray is seen in –
1. Ebstein anomaly
2. Total anomalous pulmonary venous connection (TAPVC)
3. Tetrology of fallot
4. Transposition of great vessels

Correct answer: 2. Total anomalous pulmonary venous connection (TAPVC)

Explanation: Snowman's sign or figure of 8 sign is seen in supracardiac TAPVC.